The feature of hemorrhagic disease of the new born is -
1. Prolonged prothrombin time
2. Defective platelet count
3. Decreased bleeding time
4. Prolonged thrombin time

Correct answer: 1. Prolonged prothrombin time

Explanation: Ans. is 'a' Prolonged prothrombin time Hemorrhagic disease of the newborn. It is caused by a deficiency of vitamin K dependent factors (II, VII, IX, X)*. Bleeding occurs in 0.25-1.7% of newborns who do not receive vitamin K prophylaxis after birth. Symptoms - Sites of ecchymoses and surface bleeding include - Gastrointestinal tract Umbilical cord Circumcision site Nose Sometimes intracranial hemorrhage can occur. Laboratory features of hemorrhagic disease of new bom : Platelet count -Normal Prothrombin time -Prolonged* Thrombin time -Normal until very late in the disease* Fibrinogen -Normal Factor V -Normal